Which of the following is an Alpha 1 blocker without any effect on blood pressure?
1. Tamsulosin
2. Prazosin
3. Oxazocin
4. Terazocin

Correct answer: 1. Tamsulosin

Explanation: Tamsulosin a nonquinazoline, is a long acting selective alpha 1A adrenergic receptor antagonist. Tamsulosin and its metabolites are most specific for prostatic alpha 1A adrenergic receptor and less specific for vascular alpha 1A adrenergic receptor thereby having less effect on blood pressure. It is very effective for treating bladder outlet obstruction associated with BPH.